18/8 stainless steel
1. 18% Nickel 8% Chromium
2. 18% Chromium 8% Copper
3. 18% Chromium 8% Nickel
4. None of the above

Correct answer: 3. 18% Chromium 8% Nickel